Which nerve passes through Meckel's cave?
1. Abducens
2. Facial
3. Trigeminal
4. Trochlear

Correct answer: 3. Trigeminal

Explanation: Arcuate eminence of petrous temporal bone is caused by superior aspect of superior semicircular canalQ. Meckel's cave houses gasserian ganglion of trigeminal nerveQ.